Deficiency of enzyme hexosaminidase, n subunit causes -
1. Tay-Sachs disease
2. Hurler syndrome
3. Fabry disease
4. Pompe disease

Correct answer: 1. Tay-Sachs disease

Explanation: Ans. is 'a' i.e., Tay- Sach's disease